In a normal curve, the area of one standard deviation around the mean includes which of the following percent of values in a distribution-
1. 48.60%
2. 68.30%
3. 95.40%
4. 99.70%

Correct answer: 2. 68.30%

Explanation: - the area of either side of mean in normal distribution curve gives the confidence limit. - confidence limit is calculated from mean and standard deviation. - In a normal curve, the area of one standard deviation around the mean includes 68 percent of values in a distribution approximately. Reference : Park's textbook of preventive and social medicine, 23rd edition, pg no:849